In which of the following condition, proximal interphalangeal joint is involved and distal interphalangeal joint is spared?
1. Osteoarthritis
2. Psoriatic arthritis
3. Rheumatoid arthritis
4. Ankylosing spondylitis

Correct answer: 3. Rheumatoid arthritis

Explanation: Rheumatoid Arthritis* Overview# Systemic autoimmune inflammatory disease that primarily affects the hand and wrist.# Arthritis of hand joints lasting longer than 6 weeks is one of seven diagnostic criteria used by American College of Rheumatology.* In contrast to osteoarthritis, the DIP joints are usually soared in RA OARAPSORIATICJts involvedPIP, DIP & 1st CMC jtPIP, MCP, WristDIP, PIP, Any jointJts sparedMCP, Wrist & Ankle (as primary)DIP